Which of the following is present in skeletal muscle?
1. GLUT 4
2. GLUT 5
3. GLUT 7
4. GLUT 2

Correct answer: 1. GLUT 4

Explanation: GLUT-4 is present in peripheral tissues (skeletal muscles, cardiac muscles, adipose tissues). Table: Location and function of various GLUTs LOCATION FUNCTION GLUT-1 Brain, Placenta, Kidney, RBC Glucose uptake during fasting GLUT-2 Liver, Pancreas, Intestine Liver-glycogen formation pancreas-insulin secretion GLUT-3 Brain (neuronal), placenta kidneys Glucose uptake during fasting GLUT-4 Skeletal muscles, cardiac muscles and adipose tissues Insulin stimulated glucose update after meals GLUT-5 Small intestine, testis (sperms) Fructose transport GLUT-6 WBC, spleen Not known GLUT-7 Liver endoplasmic reticulum Glucose transporter in ER